All are true about Adie's pupil EXCEPT:
1. Seen due to inflammation of ciliary ganglion secondary to post viral illness
2. Pupil is super sensitive to pilocarpine
3. Bilateral constricted and irregular pupil
4. Adie's pupil shows no response to light

Correct answer: 3. Bilateral constricted and irregular pupil

Explanation: Ans. (c) Bilateral constricted and irregular pupilRef: A.K. Khurana 6th ed. 1317* Bilaterally constricted and irregular pupil is a feature of Argyll Robertson Pupil aka Prostitues pupilArgyll (Neurosyphillis)Adie's* B/L constricted and irregular* Light reaction: -ve* Accomodation:+ ve* Aka prostitute's pupil* Seen post viral illness a infl of ciliary ganglion - sympathathetic stimulation* Dilated pupil, other is N.* NO RESPONSE TO LIGHT* Accomodation slow* Pupil is super sensitive to pilocarpine